In patients with breast cancer, chest wall involvement means involvement of any one of the following structures except
1. Serratus anterior
2. Pectoralis Major
3. Intercostal Muscles
4. Ribs

Correct answer: 2. Pectoralis Major

Explanation: Chest wall involvement means involvement of ribs, intercostal muscles or serratus anterior as chest wall is formed by these structures not the pectoral is major Ref: schwaz's principle of surgery 10th edition Pgno :452